All are components of black gun powder except:
1. Charcoal
2. Lead peroxide
3. Potassium nitrate
4. Sulphur

Correct answer: 2. Lead peroxide

Explanation: Ans: b (Lead peroxide) Ref: Reddy, 27th ed,p. 187Components of black gun powder - Potassium nitrite 75%Sulphur 10%Charcoal 15%Smokeless gun powderNitrocelluloseNitroglycerineNitroguanidineSemismokeless powder80% Black gun powder + 20% smokeless powder- Lead peroxide is present in printing mixture.